All of the following are features of metoprolol in comparison to propanolol EXCEPT:
1. It is ineffective in suppressing muscle tremor
2. It is relatively safer in diabetics
3. It is less likely to cause bradycardia
4. It is less likely to worsen Raynaud's disease

Correct answer: 3. It is less likely to cause bradycardia

Explanation: Cardioselective b blockers (metoprolol, atenolol, acebutolol, bisoprolol, nebivolol). More potent in blocking cardiac (b1 ) than bronchial (b2) receptors.Their features are: 1. Lower propensity to cause bronchoconstriction 2. Less interference with carbohydrate metabolism and less inhibition of glycogenolysis during hypoglycaemia--safer in diabetics. 3. Less chances of precipitating Raynaud's phenomenon. 4. No/less deleterious effect on blood lipid profile. 5. Ineffective in suppressing essential tremor (it occurs through b2 action on muscle fibres). 6. Less liable to impair exercise capacity.